Hiatus semilunaris is present in?
1. Superior meatus
2. Middle meatus
3. Inferior meatus
4. Spheno-ethmoidal recess

Correct answer: 2. Middle meatus

Explanation: Middle meatus: Uncinate process is a hook-like structure running in from anterosuperior to the posteroinferior direction in the middle meatus. It's postero superior border is sharp and runs parallel to the anterior border of bulla ethmoidalis. This gap between the two is called hiatus semilunaris .it is two-dimensional space of 1-2 mm width. (Ref: Diseases of Ear, Nose and Throat and head and neck surgery, Dhingra 7th edition, Pg no. 150)